The most important source of histamine -
1. Mast cells
2. Eosinophil
3. Neutrophil
4. Macrophages

Correct answer: 1. Mast cells

Explanation: Harshmohan textbook of pathology 7th edition. histamine: is a vaso active amine stored in the granules of mast cells, basophils and platelets. Histamine is released from the cell by various stimuli. .